Feature of ruptured skin caused by excessive heat
1. Irregular margin
2. Clear regular margin
3. Contused margin
4. Abraded margin

Correct answer: 1. Irregular margin

Explanation: HEAT RUPTURE HAS IRREGULAR MARGINS WITH NO CONTUSION OR ABRASION Heat rupture/ splits Skin splits occurring due to severe burning/ charring Irregular margins Sites: Fleshy areas, Extensor surfaces & joints. Multiple, Large (several centimeters) Resembles incised or lacerated wounds. Intact nerves, blood vessels in the floor of heat rupture. Bleeding is absent Vital reaction is absent